Hypercoagulation in nephrotic syndrome is caused by?
1. Loss of antithrombin III
2. Decreased fibrinogen
3. Decreased metabolism of Vitamin K
4. Increase in protein C

Correct answer: 1. Loss of antithrombin III

Explanation: Ans. is 'a' i.e., Loss of antithrombin III Causes of Hypercoagulability in nephrotic syndrome o Loss of antithrombin III o Increased synthesis of fibrinogen by liver. o Altered activity of protein C and S o Increased platelet aggregability. o Hypercoagulability can cause renal vein thrombosis.